Which immunoglobulin is elevated in a case of chronic allergy?
1. IgA
2. IgM
3. IgE
4. IgG

Correct answer: 3. IgE

Explanation: Ans. (c) IgERef: Owen Kuby - Immunology - 8th ed - page 487* Allergy (Type I hypersensitivity) is always IgE mediated, both in acute and chronic.* Eg: Hay fever, Asthma* Different examples for allergies (Ref: Kuby)Immune basis for some food allergiesDisorderSymptomsCommon triggerNotes about mechanismIgE mediated (acute)Hives (urticaria)Wheal and flare swellings triggered by ingestion or skin contactMultiple foods Oral allergyItchiness, swelling of mouthFruits, vegetablesDue to sensitization by inhaled pollens, producing IgE that cross-reacts with food proteinsAsthma, rhinitisRespiratory distressInhalation of aerosolized food proteinsMast-cell mediatedAnaphylaxisRapid, multiorgan inflammation that can result in cardiovascular failurePeanuts, tree nuts, fish, shell-fish, milk, etc. Exercise-induced anaphylaxisAs above, but occurs when one exercises after eating trigger foodsWheat, shellfish, celery (may be due to changes in gut absorption associated with exercise) IgE and cell mediated (chronic)Atopic dermatitisRash (often in children)Egg/ milk, wheat, soy, etc.May be skin T cell mediatedGastrointestina inflammationPain, weight loss, edema, and/or obstructionMultiple foodsEosinophil mediatedCell mediated (chronic)Intestinal inflammation brought about by dietary protein (e.g., enterocolitis, proctitis)Most often seen in infants: diarrhea, poor growth, and/or bloody stoolsCow's milk (directly or via breast milk), soy, grainsTNF- a mediatedCourtesy: S. H. Sicherer and H. A. Sampson, 2009 Food allergy, Annual Review of Medicine 60: 261-277.